Length of tibia is -
1. 10% of height
2. 20% of height
3. 30% of height
4. 40% of height

Correct answer: 2. 20% of height

Explanation: Length of tibia is 20% of total height. Ref: K.S.Narayan Reddy's Synopsis of Forensic Medicine and Toxicology, 29th edition,Chapter 4, page-51.